The Millennium Development Goals (MDG) is to be achieved by the year-
1. 2010
2. 2015
3. 2020
4. 2030

Correct answer: 2. 2015

Explanation: Governments have set a date of 2015 by which they would meet the MDGs I.e, eradicate extreme poverty and hunger;achieve universal primary education;promotes gender equality;improve maternal health,ensure environmental sustainability and develop a global partnership for development (refer pgno:893 park 23rd edition)